Cerebral angiography was performed by
1. Sir Walter Dandy
2. George Moore
3. Seldinger
4. Egas Moniz

Correct answer: 4. Egas Moniz

Explanation: Ans. is 'd' i.e., Egas Moniz